Which of the following antiglaucoma medications can cause drowsiness
1. Latanoprost
2. Timolol
3. Brimonidine
4. Dorzolamide

Correct answer: 3. Brimonidine

Explanation: Ans. is 'c' i.e., Brimonidine Important systemic side effects of topical agents n-blockers : Bronchospasm, bradycardia, .cardiac output, hypotension, depression, impotence, altered lipid profile (hypercholesterolemia). Sympathomimetics Non selective (Dipivefrine, epinephrine) :- Hypertension, arrhythmias Selective a-2 (Brimonidine):- Drowsiness, fatigue, BP changes Selective a-1 & a2 (Apraclonidine) :- Drowsiness, Headache, fatigue Chlinomimetics (Pilocarpine) :- Sweating, salivation, urinary frequency, diarrhea, bronchospasm. Carbonic anhydrase inhibitors (Dorzolamide, brinzolamide) :- Bitter taste, headache, asthenia, renal calculi. Prostaglandin analogues (Latanoprost) :- Headache, symptoms of URTI.